Most common urinary bladder tumour in childhood is –
1. Haemangioma
2. Rhabdomyosarcoma
3. Transitional cell carcinoma
4. Squamous cell carcinoma

Correct answer: 2. Rhabdomyosarcoma